All of the following statements regarding disposal ofbioniedical aste are true, except
1. Human Anatomical Waste is disposed in a Yellowbag
2. Contents from a Red bag may be a source ofcontamination
3. Black bags are used for disposal of ash fromincineration
4. Blue bags contents are disposed in securedlandfill

Correct answer: 4. Blue bags contents are disposed in securedlandfill

Explanation: Ans. is 'd' i.e. Blue bags contents are disposed in secured landfill Blue bag contents are disposed by autoclaving/microwaving/chemical treatment and destruction shedding. o Yellow bag contains category No. 1, 2, 3, & 6 wastes. Category No I contains human anatomical waste (option a is correct) o Red bags are used for disposal of microbiology waste from laboratory cultures, stocks of microorganisms etc (Cat -3) and hence may be a source of contamination. o Black bag contains category No 5, 9 and 10 wastes. Category 9 containts incineration ash which is disposed in multiple landfill (option c is correct.)